The antero-posterior diameter of the lens is increased in all except
1. Intumescent cataract
2. Accommodation
3. Weill-Marchesani syndrome
4. Morgagnian cataract

Correct answer: 4. Morgagnian cataract

Explanation: Ans. (d) Morgagnian cataractOption a - In cortical cataract, due to progressive hydration, swelling (increase in AP diameter) of the lens occurs making the anterior chamber shallow.Option b - Increase in the anterior lens capsule curvature with axial lens thickness due to the action of ciliary muscle on zonules.Option c - Weill-Marchesani syndrome is associated with Microspherophakia, (small, spherical lens) leading to increase in AP diameter (the equatorial diameter decreases).Option d - Morgagnian is a type of Hypermature cataract, wherein the cortical material leaks out and is further liquefied, leaving a wrinkled capsule and a Shrunken lens.